Potato tumor due to
1. Hypertrophy of sweat glands of nose
2. Hypertrophy of sebaceous glands of nose
3. Hypotrophy of sweat glands of nose
4. All of the above

Correct answer: 2. Hypertrophy of sebaceous glands of nose

Explanation: Rhinophyma (Potato tumor) is large, bulb-shaped, red-coloured (ruddy) nose.
It is a slow-growing benign tumor due to hypertrophy of the sebaceous glands.
The cause of rhinophyma is unknown, though it is thought to be a severe form of acne rosacea.
Rhinophyma was once thought to be caused by heavy alcohol consumption, but this is not the case.
Rhinophyma occurs equally in those who do not drink at all and those who drink large quantities of alcohol.
It mostly affects men past middle age. The redpink colour of the tumor is due to engorgement of superficial vessels.
Treatment - Surgery to reshape the nose is the best-known treatment for rhinophyma. Surgery may be done with a laser (carbon dioxide laser), scalpel (sharp knife) or a rotating brush (dermabrasion) and the area is allowed to re-epithelialize.
Sometimes, tumor is completely excised and the raw area is skin-grafted.